Horner syndrome causes all of the following signs, EXCEPT:
1. Enophthalmos
2. Mydriasis
3. Anhidrosis
4. Narrowed palpebral fissure

Correct answer: 2. Mydriasis

Explanation: Horner's syndrome occur secondary to a lesion of the sympathetic system. Features of Horner's syndrome are miosis, ptosis, facial anhidrosis,enophthalmos and heterochromia iridis. Three types of Horner's syndrome are: Central: Lesion is located between hypothalamus and the ciliospinal center of Bodge. Pre ganglionic: Lesion is located from C8 to T2 and the superior cervical ganglion. Post ganglionic: Lesion involves the third order neurons from the superior cervical ganglion to the dilator pupillae. Ref: Textbook of Ophthalmology edited by Sunita Agarwal, page 306.